Choriocarcinoma metastasizes most commonly to:
1. Vagina
2. Lungs
3. Liver
4. Brain

Correct answer: 2. Lungs

Explanation: Ans: B i.e. Lungs Metastasis of choriocarcinoma Vaginal metastases forms in 30% of cases of choriocarcinoma The most common metastases in choriocarcinoma are seen in lungs (80%), brain and liver (10%).